Which of the following kinase reaction is reversible?
1. Hexokinase
2. Phosphofructo Kinase
3. Phosphoglycerate Kinase
4. Pyruvate kinase

Correct answer: 3. Phosphoglycerate Kinase

Explanation: Reversible kinase reactions are: Phosphoglycerate kinase Creatine kinase Succinate thiokinase Irreversible kinase reactions are: Hexokinase Phosphofructokinase Pyruvate kinase We have to remember irreversible steps mainly